Submandibular Acinar Cells secrete
1. Glucagon
2. Lysozyme
3. Insulin
4. Plasma proteins

Correct answer: 2. Lysozyme

Explanation: Lysozyme, an enzyme with antibacterial activity, is produced primarily by the Submandibular Salivary Gland Acinar Cells